A 30 year old female found to have 'angioid streaks' on retina during ocular examination. Which of the following systemic illness is associated with this clinical presentation?
1. Tay Sach's disease
2. Vogt Koyanagi syndrome
3. Wilson's disease
4. Pseudoxanthoma elasticum

Correct answer: 4. Pseudoxanthoma elasticum

Explanation: Angioid streaks appear as irregular, jagged tapering lines that radiate from the peripapillary retina into the macula and peripheral fundus. The streaks represent linear, crack-like dehiscence in Bruch's membrane. Systemic diseases associated with angioid streaks: Pseudoxanthoma elasticum Paget disease of bone Ehlers-Danlos syndrome Hemoglobinopathy Hemolytic disorders Ref: Fletcher E.C., Chong N., Augsburger J.J., Correa Z.M. (2011). Chapter 10. Retina. In P. Riordan-Eva, E.T. Cunningham, Jr. (Eds), Vaughan & Asbury's General Ophthalmology, 18e.